All of the following decrease bone resorption in osteoporosis except:
1. Alendronate
2. Etidronate
3. Strontium
4. Teriparatide

Correct answer: 4. Teriparatide

Explanation: Ans. (D) Teriparatide(Ref: CMDT 2010/1041; KDT 8/e p365)Teriparatide acts by stimulating the formation of bone whereas bisphosphonates act by inhibiting the resorption of bone. Strontium ranelate has both of these properties.